Position of lower limb in post polio deformity of hip: {Repeat!
1. Extension. Adduction. Internal rotation
2. Extension. Abduction. Internal rotation
3. Flexion. Abduction, External rotation
4. Flexion. Adduction, External rotation

Correct answer: 3. Flexion. Abduction, External rotation

Explanation: Ans: C (FABER) Ref: Turek's Orthopaedics -Principles and Their Applications, 4th edition. p 529Explanation:Post polio paralysisDuring the acute and convalescent phases of poliomyelitis the patient lies supine in the so called 'frog-legged'position with hips flexed (F), abducted (AB) and externally rotated (ER); the knees flexed and the feet in equinovarus position.Initially this position may be assumed because of the muscle spasm in these muscles.Later contractures involving the fascia and intermuscular septum occur.Contracture of the muscles contribute at a later stage.With the advent of growth these deformities get worse and adaptive bony changes make correction more difficult.